Necrosis with cell bodies retained as ghost cells is ?
1. Coagulative necrosis
2. Liquefactive
3. Caseous
4. None

Correct answer: 1. Coagulative necrosis

Explanation: Ans. is 'a' i.e., Coagulative necrosis